Glaucoma drug which is b-1 selectve p-blocker is ?
1. Timolol
2. Laevobuno I ol
3. Carteolol
4. Betaxolol

Correct answer: 4. Betaxolol

Explanation: Ans. is 'd' i.e., Betaxolol o Among the given options, only betaxolol is 0-1 selective.